Gamma irradiation used for all of the following except?
1. Syringes
2. Catgut suture
3. Grafts
4. Endoscope

Correct answer: 4. Endoscope

Explanation: Ans. is 'd' i.e., Endoscope Radiation